Paul Bunnel test is used for diagnosis of:
1. Chicken pox
2. Yellow fever
3. Genital Herpes
4. Infectious mononucleosis

Correct answer: 4. Infectious mononucleosis

Explanation: Ans. (d) Infectious mononucleosisRef: Microbiology by Ananthanarayan and Paniker 8th/476Infectious mononucleosis is diagnosed by Paul Bunnel test.Revision of Key Points About Infectious Mononucleosis* Ebstein Barr virus is causative for infectious mononucleosis.* Infectious mononucleosis is called a glandular fever* Clinical features include fever, lymphadenopathy, sore throat and presence of abnormal lymphocytes in blood.* Monospot test is also used for diagnosis of infectious mononucleosis,* Patients develop skin rash if they consume an antibiotic like ampicillinEBV is also oncogenic in nature because it causes B cell clonal activation.